Adverse effect of carbonic anhydrase inhibitors is:
1. Paraesthesia
2. Weight gain
3. Hyperkalemia
4. Metabolic alkalosis

Correct answer: 1. Paraesthesia

Explanation: Carbonic Anhydrase Inhibitor :- 1.Causes self limited NaHCO3 diuresis : Urinary Alkalosis Metabolic Acidosis 2. | K+ 3. Paresthesia 4. Bone Marrow suppression 5. Weight loss